Which is the ideal site to collect blood sample for toxicological analysis during autopsy?
1. Stomach
2. Femoral vein
3. Aorta
4. Heart

Correct answer: 2. Femoral vein

Explanation: Ans. (B). Femoral veinTo avoid contamination from the gastric contents, blood is always collected from the peripheral vessels preferable femoral vein.